Small deposits of neuroendocrine cell hyperplasia in scarred lungs are known as -
1. Teratoma
2. Tumorlet
3. Carcinoid
4. Hamartoma

Correct answer: 2. Tumorlet

Explanation: . Tumorlet